Which anesthetic induction agent produces cardiac stability. In other words cardiostable anesthesia is.
1. Ketamine
2. Propofol
3. Thiopental
4. Etomidate

Correct answer: 4. Etomidate

Explanation: D. i.e. Etomidate